Acute flaccid paralysis is reported in a child aged:
1. 0-3 years
2. 3-5 years
3. 0-15 years
4. 15-19 years

Correct answer: 3. 0-15 years

Explanation: For AFP Surveillance, every case of acute flaccid paralysis in any child under 15 years is to be reported promptly.